All of the following involve a two-way communication except
1. Symposium
2. Lecture
3. Panel discussion
4. Workshop

Correct answer: 2. Lecture

Explanation: In network analysis

Shortest (minimum) time or path → PERT
Longest time or path → Critical path method